The most accepted theory of tooth eruption is
1. Hydrodynamic theory
2. Clone theory
3. Periodontal ligament traction theory
4. Vascular theory

Correct answer: 3. Periodontal ligament traction theory